Most common site of OPLL is?
1. Cervical spine
2. Thoracic spine
3. Lumbar spine
4. Sacrum

Correct answer: 1. Cervical spine

Explanation: Ans AOssified Posterior Longitudinal Ligament (OPLL) - is most commonly seen in mid cervical region where it classically causes spinal canal stenosis and cord compression.